In 1947 a committee at ADA recommended symbolically, which of the following tooth numbering system
1. Zsigmondy/Palmer system
2. ADA system
3. Two digit system
4. Zsigmondy/Palmer system & ADA system

Correct answer: 1. Zsigmondy/Palmer system